Inheritance of ABO group is ______
1. X-linked inheritance
2. Recessive inheritance
3. Mitochondrial inheritance
4. Codominance

Correct answer: 4. Codominance

Explanation: Inheritance of ABO group is codominance. Codominance: Gene expression and mendelian traits are usually described as dominant or recessive; in some cases, both of the alleles of a gene pair contribute to the phenotype - a condition called codominance. Examples include histocompatibility and ABO blood group antigens. Classification of genetic disorders: Mendelian disorders (classic inheritance) Autosomal dominant Autosomal recessive X-linked dominant X-linked recessive Non-Mendelian disorders (Non-classic inheritance) Trinucleotide repeat mutations Fragile X syndrome Friedreich ataxia Huntington's disease Mutations in mitochindrial genes: MELAS, MERRF Genomic imprinting Angelman syndrome Prader-Willi syndrome Silver-Russell syndrome Gonadal mosaicism Chromosomal Disorders: Microdeletions: Cri du chat syndrome Down's syndrome, Turner's syndrome, Klinfelter's syndrome Ref: Robbins and cotran pathological Basis of Disease 9th edition Pgno: 140